During which stage of tooth development blood supply of dental papilla develops:
1. Bud stage.
2. Cap stage.
3. Early bell stage.
4. Late bell stage.

Correct answer: 2. Cap stage.

Explanation: Blood supply to tooth develops rapidly during the cap stage and till the Bell stage the blood supply in the dental papilla is well developed. Pioneer nerve fibres also enter the dental papilla during the cap to bell stage transition during tooth development. These nerve fibres follow the blood vessels into the dental papilla.